All the following are characteristic of Dhatura poisoning except:
1. Delirium
2. Diplopia
3. Pin-point pupils
4. Dysphagia

Correct answer: 3. Pin-point pupils

Explanation: C i.e. Pinpoint pupil